Glanzman thrombesthenia is due to defect in?
1. Gp IIB/IIIA
2. GpIB/IX
3. Gp IB/IIIA
4. GpIIB/IX

Correct answer: 1. Gp IIB/IIIA

Explanation: Ans. is 'a' i.e., Gp IIB/ IIIA * Glanzman's thromboathenia occurs due to Defect in platelet aggregation resulting from inherited deficiency of glycoprotein IIb-IIIa.* Bernard soulier syndrome occurs due to Defect in platelet adhesion due to inherited deficiency or dysfunction of glycoprotein Ib-IX (Gp Ib/IX).